Adverse effect of phenytoin include all of the following EXCEPT :
1. Lymphadenopathy
2. Ataxia
3. Hypercalcemia
4. Hirsutism

Correct answer: 3. Hypercalcemia